Cardiac index in a normal person is
1. 2.1
2. 3.2
3. 4.6
4. 5.9

Correct answer: 2. 3.2